LRS Institute of Tuberculosis and respiratory diseases is located at-
1. Chennai
2. Bangalore
3. Delhi
4. Chengalpettu

Correct answer: 3. Delhi

Explanation: Tuberculosis Research Centre is located in Chennai. National Tuberculosis institute is in Bangalore.